All the following statements are true regarding beta-lactams except
1. Imipenem should be given with cilastatin
2. Meropenem should be given with cilastatin
3. Aztreonam doesn't show cross resistance with cephalexin
4. Methicillin is given by parenteral route

Correct answer: 2. Meropenem should be given with cilastatin

Explanation: Among carbapenems, Imipenem should always be given with cilastatin to prevent renal failure and convulsions. No need to give mero and doripenem with cilastatin.Cross-resistance is not seen with aztreonam among beta-lactams.Methicillin is inactivated by gastric acid so administered parenterally.Ref: Katzung 3rd ed; pg 781